Monteggia fracture is -
1. Fracture of the proximal ulna with radial head dislocation
2. Radial head subluxation
3. Tear in interosseus membrane between radius and ulna with proximal ulna fracture
4. Distal radius Fracture with injury to Distal radio ulnarjoint

Correct answer: 1. Fracture of the proximal ulna with radial head dislocation

Explanation: Ans. is 'a' i.e., Fracture of the proximal ulna with radial head dislocation Eponymous injuries of forearmNameInjuryMonteggia fracture dislocationFracture of upper third of ulna with dislocation of the radial headGalleazi fractureFracture of distal third of radius with dislocation or subluxation of inferior (distal) radio-ulnar jointEssex Lopresti lesionFracture of the radial head with distal radioulnar joint injury with tear in the interosseus membrane